Potassium sparing diuretics is:
1. Furosemide
2. Spironolactone
3. Mannitol
4. Acetazolamide

Correct answer: 2. Spironolactone

Explanation: (Spironolactone): Ref: 525-KDT) (561-KDT 6th)CLASSIFICATION OF DIURETICS1. High efficacy diuretics(Inhibitors of Na+ - K+ 2 CY cotransport)2. Medium efficacy diuretics(Inhibitors of Na+, Cl' symport)3. Weak or Adjunctive diuretics(a) Sulphamoyl derivatives: Furosemide, Bumetanide(b) Phenoxyacetic acid derivative Ethacrynic acid(c) Organomercurials: Mersalyl(a) Benzothiadiazines (thiazides) Chlorothiazide, Hydrochloroth iazide, Benzthiazide, Hydroflumethiazide, Clopamide(b) Thiazide like (related heterocyclics)Chlorthalidone, Metolazone, Xipamide, Indapamide(a) Carbonic anhydrase inhibitors: Acetazolamide(b) Potassium sparing diuretics(I) Aldosterone antagonist: spironolactone(II) Directly acting: - Triamterene, Amiloride(c) Osmotic diuretics: Mannitol, Isosorbide, Glycerol(d) Xanthines: TheophyllineSPIRONOLACTONE: - acts on distal tubule (exchange of potassium for sodium) and CD cellsSide effects (780-81-GG)Uses* Hyperkalemia (Dangerous)* Gynecomastia* Impotence, decreased libido* Hirsutism, Deepening of the voices, amenorrhoea* May induce diarrhea, gastritis, gastric bleeding and peptic ulcer (CONTRAINDICATED IN PEPTIC ULCER)*** CNS adverse - Drowsiness, Lethargy, ataxia, confusion and headache* Skin rash* Breast cancers (chronically use) and carcinogenic in rodents* Primary hyperaldosteronism* Edema associated with secondary alderosteronism (cardiac failure, hepatic cirrhosis, nephrotic syndrome, severe ascitis)* Diuretic of choice in hepatic cirrhosis.